Which cytokine activate macrophages ?
1. IL-8
2. IFN-y
3. PAF
4. Leukotriene B4

Correct answer: 2. IFN-y

Explanation: Ans. is 'b' i.e., IFN-T Activated macrophages o Recent studies show that there are two types of activated macrophages : ? 1. Classically activated macrophages (M2) These are activated by microbial products and cytokines like IFNI! o These cells release lysosomal enzymes, NO, IL-1, and IL-12. o These cells are involved in microbicidal activities and pathogenic inflammation. 2. Alternatively activated macrophages (M2). o These cells are activated by microbial products and cytokines like IL-4, IL-5. o These cells release IL-10, TGF-P. o These cells are involved in anti-inflamatory actions and wound repair.